Most commonly used tuning fork in ear examination is
1. 128 Hz
2. 256 Hz
3. 512 Hz
4. 1024 Hz

Correct answer: 3. 512 Hz

Explanation: 512Hz is used normally Note: These tests are performed with tuning forks of different frequencies such as 128, 256, 512, 1024, 2048 and 4096 Hz, But for routine clinical practice, tuning fork of 512 Hz is ideal. Forks of lower frequencies produce a sense of bone vibration while those of higher frequencies have a shorter decay time and are thus not routinely preferred. Ref: Dhingra; 6th Edition; pg no 21